Anesthesia of choice in child with cyanotic heart disease?
1. Propofol
2. Ketamine
3. Thiopentone
4. Sevoflurane

Correct answer: 2. Ketamine

Explanation: Ketamine REF: Morgan 4'h ed p. 935 Anesthesia of choice for congenital heart disease Left to right shunt (Acynotic) Sevoflurane Right to left shunt (Cyanotic) Retamine